Saturnine encephalopathy is caused by intoxication of:
1. Arsenic
2. Antimony
3. Lead
4. Mercury

Correct answer: 3. Lead

Explanation: Central Nervous System (CNS): the effects of lead in the CNS are much more important to young children and neuropsychological effects may occur even for levels considered as sub-toxic, such as 10ug/dl. Prolonged lead exposure may produce important effects over the CNS, causing what is known as saturnine encephalopathy, which symptoms range from subtle psychological and behavioral changes to severe neurological alterations. Ref :